T cells are derived from:
1. Tonsils
2. Thymus
3. Thalamus
4. Thyroid

Correct answer: 2. Thymus

Explanation: Ans. B ThymusRef: BDC, 6th ed. vol. II pg. 147T cells originate in the bone marrow but mature in the thymus. So, T stands for 'Thymus'.* Thymus and bone marrow are primary lymphoid organs.* Lymph node and spleen are secondary lymphoid organs.